What is the intubation dose of pancuronium?
1. 0.1 mg/kg
2. 1 mg/kg
3. 10 mg/kg
4. 20 mg/kg

Correct answer: 1. 0.1 mg/kg

Explanation: Ans. is 'a' i.e., 0.1 mg/kg Dose, speed of onset and duration of neuromuscular blocking drugsDrugDose (mg/Kg)Onset time (min)Duration(min)Succinylcholine1.0-1.5< 15-10Tubocurarine0.53-530-50Atracurium0.52-320-30Cisatracurium0.12-330-40Mivacurium0.15-0.202-310-20Pancuronium0.13-540-60Vecuronium0.12-320-30Rocuronium0.61-230-40